An elderly man complains of ear pain. During evaluation, the physician asks if the patient has tinnitus. What is tinnitus?
1. A subjective sensation of noise in the head
2. A complication of chronic metal ingestion
3. An audible cardiac murmur
4. Dizziness with sounds

Correct answer: 1. A subjective sensation of noise in the head

Explanation: Tinnitus is the perception of abnormal noise in the ear or head. It is usually attributed to a sensory loss; pulsatile tinnitus occurs with conductive hearing loss and is due to carotid pulsations becoming more apparent.